AV node is situated in
1. Opening of SVC
2. Interventricular septum
3. Koch's triangle
4. Interatrial septum

Correct answer: 3. Koch's triangle

Explanation: Koch's triangle is an anatomical area located within right atrium, defined by Ostium of coronary sinus, posteriorly The anterior-septal leaflet commissure Tendon of Todaro ( a tendinous structure connecting the valve of the inferior venacava ostium to the central fibrous body posteriorly) Used as anatomical landmark for location of AV node during electrophysiology procedures such as pacing or ablation. Ref - researchgate.net